La Belle Indifference is seen in?
1. Conversion disorder
2. Schizophrenia
3. Mania
4. Depression

Correct answer: 1. Conversion disorder

Explanation: Ans. is 'a' i.e., Conversion disorder o La Belle Indifference: - It refers to lack of concern towards the symptoms despite severe disability. This is not pathognomanic of conversion disorder (hysteria). This is also seen in dissociative disorder, physical illness, multiple sclerosis, parietal lobe lesion.